Intrapleural Pressure greater than the atmospheric pressure is diagnostic of
1. Valvular pneumothorax
2. Closed pneumothorax
3. Open pneumothorax
4. All

Correct answer: 1. Valvular pneumothorax

Explanation: Ans. a (Valvular pneumothorax). (Ref. Bailey and Love 24th 850)# TENSION PNEUMOTHORAX is when there is built up of positive pressure within hemithorax, to the extent that intrapleural pressure is greater than atmospheric pressure causing lung to collapse.# Completely, diaphragm flattened, mediastinum distorted and eventually venous return to heart is compromised.# Any pleural breach acts inherently as valve like thing, because air will find its way out through alveoli, but cannot be drawn back in, because tissues collapse around hole in pleura.